Use of spironolactone in liver cirrhosis is
1. Decrease edema
2. Improves liver function
3. Decrease afterload
4. Decrease intravascular volume

Correct answer: 1. Decrease edema

Explanation: Spironolactone(aldosterone antagonist) - potassium sparing diuretic is started as a Single dose of 100-200mg/day,in cirrhotic patients who have peripheral edema . In moderate ascites, Spironolactone is given along with furosemide . Side effects -gynecomastia is an important side effect ,amiloride can be alternatively used in place of Spironolactone. Ref:Harrison 20 th edition pg no 2412